True about late onset schizophrenia:
1. Onset after 45 yrs
2. Onset between 25-30 yrs
3. Prognosis is poor
4. Olfactory hallucinations are common

Correct answer: 1. Onset after 45 yrs

Explanation: A i.e. Onset after 45 yrsLate onset schizophrenia is characterized by onset after age 45 years, more frequent female involvement, predominance of paranoid symptoms, favourable prognosis and patients usually do well on antipsychotic medicationQ. Late Onset Schizophrenia (LOS) & VeryLate Onset Schizophrenia (VLOS) - According to International Late onset schizophrenia Group, LOS with onset in middle age (45 to 60 years) is a neuro developmental disorder and that its difference with early onset schizophrenia are more of degree than of kind. It also postulated that very late onset schizophrenia like psychosis (with onset over 60 year age) is a neurodegenerative disorder with more brain abnormalities & neuropsychological deficits. But a potential problem of this tripartite classification system is its reliance on age rather than clinical presentation. LOS patients typically meet criteria for the paranoid or undifferentiated subtype of schizophrenia.